Bankart's lesion involves the of the glenoid labrum.
1. Anterior lip
2. Superior lip
3. Antero-superior lip
4. Antero-inferior lip

Correct answer: 4. Antero-inferior lip

Explanation: D i.e. Antero-inferior lip